all of the following decreases bone resorption in Osteoporosis except
1. Alendronate
2. Etidronate
3. Strontium
4. Teriparatide

Correct answer: 4. Teriparatide

Explanation: Refer CMDT 2010/1041 Teriparatide acts by stimulating the formulation of bone whereas bisphoshonates act by inhibitng the resorption of bone Strontium ranelate has both of these properties